Ca prostate commonly metastasises to the vertebrae -
1. Because valveless communication exist with Batson' s periprostatic plexus.
2. Via drainage to Sacral lymph node
3. Of direct Spread
4. None of above

Correct answer: 1. Because valveless communication exist with Batson' s periprostatic plexus.